Greenstick fracture is -
1. Incomplete transverse fracture pattern in children
2. Complete transverse fracture pattern in children
3. Incomplete spiral fracture pattern in children
4. Complete spiral fracture pattern in children

Correct answer: 1. Incomplete transverse fracture pattern in children

Explanation: Ans. is 'a' i.e., Incomplete transverse fracture pattern in children * A greenstick fracture is an incomplete transverse fracture pattern seen in children.* Greenstick fractures occur when an injuring force applied to a bone exceeds the limits of elasticity of the bone.* This results in the bone's bending to the point of bony disruption and fracture on the side opposite to the applied force.* However, a green-stick fracture is an incomplete fracture, in which the compressed cortex and periosteum remain intact.* Greenstick fractures of radius-ulna are common fractures in children and often result from a fall on a outstretched hands.